Type of bond seen between the phosphate group and 5' carbon of ribose sugar within a nucleotide is:
1. Phosphodiester bond
2. Ester bond
3. Beta N- glycosidic bond
4. Acid anhydride bond

Correct answer: 2. Ester bond

Explanation: The question ask about bond in a single nucleotide and not between two nucleotides. Hence the answer will be ester bond and not phosphodiester bond. Ester bond or Phosphoester bond >>Acid Anhydride Bond between 2 nucleotides Phosphodiester bond Bond between Phosphate & sugar with a nucleotide Ester or phosphoester bond Bond between 5' or 3' carbon of sugar & Oxygen anion of phosphate is ester bond ( phosphoester or acid anhydride bond). Beta N- glycosidic bond is between N-base & sugar. Between two nucleotides, this phosphate group will form two C-O links ( one with 5' C of incoming sugar & other with 3' carbon of the previous sugar), so it is known as 3'5' phosphodiester bond .